OCP's are a risk factor for development of all EXCEPT:
1. DVT
2. Pulmonary embolism
3. Ectopic pregnancy
4. Breast cancer

Correct answer: 3. Ectopic pregnancy

Explanation: Ans. C i.e. Ectopic pregnancy OCP reduces the incidence of ectopic pregnancy because of suppression of ovulation, and reduction in PID